Cochlear function in fetus develops between
1. 12 to 15 weeks
2. 18 to 20 weeks
3. 22 to 25 weeks
4. 30 to 34 weeks

Correct answer: 3. 22 to 25 weeks

Explanation: Cochlear function develops between 22 and 25 weeks, and its maturation continues for six months after delivery.Reference: William's Obstetrics; 24th edition; Chapter 7; Embryogenesis and Fetal Morphological Development